Which of the following is the characteristic feature of adult respiratory distress syndrome?
1. Diffuse alveolar damage
2. Interstitial tissue inflammation
3. Alveolar exudates
4. Interstitial fibrosis

Correct answer: 1. Diffuse alveolar damage

Explanation: Adult Respiratory Distress Syndrome (ARDS) Also called as Shock Lung, Diffuse alveolar damage or Acute lung injury In adult respiratory distress syndrome, there is damage to type-I / II pneumocytes as well as formation of hyaline membrane due to endothelial cell damage which increases vessel permeability - formation of membrane with fibrinogen-Hyaline appearance. The histologic manifestation of ARDS in the lungs is known as diffuse alveolar damage (DAD) the integrity of the alveolar-capillary membrane is compromised by endothelial and epithelial injury.